All are true of exotoxin, except:
1. Protein in nature
2. Antigenic
3. Heat stable
4. Highly toxic

Correct answer: 3. Heat stable

Explanation: Ans. Heat stable